A film badge is a type of:
1. Identification plate
2. Sonometer
3. Dosimeter
4. Tachometer

Correct answer: 3. Dosimeter

Explanation: Personnel Monitoring 
A device for monitoring radiation exposure to personnel is called a dosimeter. Dosimeters should be worn in the region of the collar and should be outside a lead apron if it is used. The three basic types of dosimeters arc film badges, thermoluminescent dosimeters (ILDs), and optically stimulated luminescence dosimeters (OSLs). A film badge consists of one or two pieces of dental film that is paper wrapped and enclosed in a badgelike holder that incorporates several filters. The disadvantage of this type of dosimeter is that the dental film is subject to fog when exposed to heat or fumes, and this expo-sure could result in a false reading. TLD badges have one or more lithium fluoride crystals that absorb radiation energy and then emit the energy in the form of light when heated. They arc more durable than film badges and respond only to ionizing radiation exposure. 
Kinn’s Medical Assistant, pg-1075